Which of the following is the most common cause of first trimester abortion?
1. Syphilis
2. Chromosomal abnormalities
3. Rhesus isoimmunization
4. Cervical incompetence

Correct answer: 2. Chromosomal abnormalities

Explanation: Majority (50%) of early miscarriges are due to chromosomal abnormalities in the conceptus. Autosomal trisomy is the commonest cytogenetic abnormality. The most common trisomy is trisomy 16. Polyploidy is seen in 22% of abortuses and monosomy constitutes 20% of abortuses. Ref: Textbook of Obstetrics By D.C.Dutta, 6th Edition, Page 160